A person has defective blue colour appreciation. His condition is better named as-
1. Deuteranomalous
2. Deuteranopia
3. Tritanopia
4. Tritanomalous

Correct answer: 4. Tritanomalous

Explanation: For defective (anomolous) colour vision, Suffix anomalous is used; and for absent colour, suffix anopia is used.